Single dose treatment for chlamydia is?
1. Doxycycline
2. Tetracycline
3. Azithromycin
4. Erythromycin

Correct answer: 3. Azithromycin